During anesthesia, which is least affected
1. Visual evoked response
2. Somatosensory evoked potential
3. Brainstem auditory evoked potential
4. Motor evoked potential

Correct answer: 3. Brainstem auditory evoked potential

Explanation: C i.e. Brainstem auditory evoked potential Brain stem auditory evoked potential (BAEP) is most resistant (i.e. least affected) during anesthesiaQ.